Placental site involution takes
1. 2 weeks
2. 3 weeks
3. 6 weeks
4. 8 weeks

Correct answer: 3. 6 weeks

Explanation: Complete placental site involution takes upto 6 weeks.